All of the following bones are pneumatic except:
1. Maxilla
2. Frontal
3. Mandible
4. Ethmoid

Correct answer: 3. Mandible

Explanation: Ans. C. MandiblePneumatic bones are those bones which contain an air filled cavity within them. In humans, they are seen in relation to the nasal cavity - they enclose the paranasal sinuses. Pneumatic bones are - maxilla, frontal bone, sphenoid and ethmoid.